Drug of choice in drug induced parkinsonism is:
1. Levodopa
2. Benzhexol
3. Amantidine
4. Carbidopa

Correct answer: 2. Benzhexol

Explanation: Ans. (B) Benzhexol(Ref: KDT 8/e p460)Central anticholinergics like trihexy phenydyl (Benzhexol) are the only drugs effective in drug induced Parkinsonism.